Thyroglossal cyst is associated with which type of thyroid Ca?
1. Papillary
2. Medullary
3. Anaplastic
4. Lymphoma

Correct answer: 1. Papillary

Explanation: Ans. (a) Papillary(Ref: Robbins 9th/pg 1097-1098)Papillary carcinoma accounts for 80% of cases of thyroglossal duct carcinomas, with the rest being squamous cell carcinoma